Which of the following drug is an immunostimulant
1. Prednisolone
2. Levamisol
3. Cyclosporine
4. Thalidomide

Correct answer: 2. Levamisol

Explanation: Ref-Goodman and Gillman 11/e p1422 All other drugs listed in the option posses immunosuppressant properties